The Burrows in scabies is in the
1. Stratum basale
2. Stratum granulosum
3. stratum corneum
4. Dermis

Correct answer: 3. stratum corneum

Explanation: SCABIES:- Caused by Sarcoptes scabiei var hominis. Clinical features: Itching- generalised, worse at night.this is due to delayed type 4 hypersensitivity reaction. Classic lesion: Burrow-Thread like wavy tunnel in stratum corneum.They appear as serpiginous or S shaped greyish,thread like elevations with a vesicle at one end indicating the presence of mite.seen at interdigital web, feet areola,scrotum. Erythematous papules and papulovesicles:-found in- 1. Interdigital webs 2. Sides of fingers 3. Front of wrists 4. Ulnar border of forearm 5. Elbows 6. Axillae 7. Areola 8. Umbilicus 9. Lower abdomen 10. Upper medial side of thigh 11. Genitals. The imaginery circle formed by these sites is called the circle of Hebra. {Reference: IADVL textbook of dermatology, vishalakshi Vishwanath pg no.78.}